Synchysis refers to:
1. Liquefaction of the vitreous
2. Black spots in front of the eyes
3. Collapse of the vitreous
4. Detachment of the vitreous

Correct answer: 1. Liquefaction of the vitreous

Explanation: Ans. Liquefaction of the vitreous